Which of the following statement is wrong about morphine use?
1. It can be used in Hypotension but with caution
2. It can be used in Head injury
3. It can be used in diabetes mellitus
4. Myocardial infarction is an important indication to use morphine

Correct answer: 2. It can be used in Head injury

Explanation: Head injury is an absolute contra-indicatio for the use of morphine as it can lead to Marked respiratory depression Increased ICT by retaining CO2 Miosis, vomiting and altered mentation.